A 34-year-old man presents with 5-month history of weakness and fatigue. There is no history of drug or alcohol abuse. CBC shows megaloblastic anemia and a normal reticulocyte count. Further laboratory studies reveal vitamin B12 deficiency. Anemia in this patient is most likely caused by which of the following?
1. Acute erosive gastritis
2. Autoimmune gastritis
3. Helicobacter pylori gastritis
4. Menetrier disease

Correct answer: 2. Autoimmune gastritis

Explanation: Type A/ Autoimmune gastritis: -Site : Fundus & body of stomach - Damage : Parietal cells resulting in: Achlorhydria - |G-cell stimulation - |Gastrin levels -| Neuroendocrine tumor Intrinsic factor deficiency - Malabsorption of vitamin B12 - Megaloblastic anemia /Pernicious anemia